Which among the following will not present with fever and rash
1. Measles
2. Rabies
3. Rubella
4. chickenpox

Correct answer: 2. Rabies

Explanation: Ans) b (Rabies) Ref Park 20th ed p 240Measles, Rubella and chickenpox all will present as fever with characteristic rash.Rabies may present with headache, malaise, sorethroat and slight fever in the prodromal stage, rash is not included as a characteristic feature. About 80% of patients complain of pain or tingling at the site of bite which is the only prodromal symptom considered specific.The characteristic symptom of rabies, hydrophobia, which is pathogno-monic is absent in animals.